Resistance to zidovirdine develops due to:
1. Mutation at reverse transcriptase
2. Increased efflux of the drug from inside the cell
3. Increased metabolism of the drug
4. Decreased zidovudine triphosphate formation

Correct answer: 1. Mutation at reverse transcriptase

Explanation: "Resistance to AZT (Zidovudine) occurs by point mutations which alter the reverse transcriptase enzyme,"